PO2 is maximum
1. Base of lung
2. Posterior lobe
3. Apex of lung
4. Middle lobe

Correct answer: 3. Apex of lung

Explanation: Partial pressure of oxygen is maximum at the apex of the lung Ref: guyton and hall textbook of medical physiology 12 edition page number: 332,333,334